True about bell's palsy is/are -a) Most common cause of facial palsyb) Associated with tinnitus & vertigoc) Crocodile tears & synkinesisd) No role of steroids
1. a
2. bc
3. ad
4. ac

Correct answer: 4. ac

Explanation: Bell's palsy is the most common cause of facial palsy.
Synkinesis and crocodile tear are sequelae of Bell's palsy.